26 yr lady with delayed cycles presents to the infertility clinic. After diagnosing her to be a case anovulation of 'Normogonadotropic Hypogonadism' type she was put on human menopausal gonadotropin (HMG) for ovulation induction from the second day of her menstrual period. She was 'Triggered' for follicular rupture with Human chorionic gonadotropin (hCG) and on the 19th day of this cycle she developed dyspnoea, reduced urine output, abdominal bloating and pain. What condition is this patient likely suffering from?
1. Theca lutem cysts
2. Ovarian hyperstimulation syndrome
3. Ruptured ectopic pregnancy
4. Ruptured corpus luteum cyst

Correct answer: 2. Ovarian hyperstimulation syndrome

Explanation: OHSS is a medical complication that is completely iatrogenic and unique to stimulatory infertility treatment. Its symptoms are the result of ovarian enlargement and fragility, extravascular fluid accumulation, and intravascular volume depletion This tends to be more severe with multiple gestation Clinical feature:- Abdominal distension, Abdominal pain, Nausea and vomiting. Management: Intravascular fluid intake to replenish the volume Symptomatic treatment , like tapping of the ascites and pleural effusion